The breeding ground for the vectors of Japanese B virus is
1. Paddy field
2. Mixed garbage
3. Cooler water
4. Startle food

Correct answer: 1. Paddy field

Explanation: Japanese encephalitis JE is a mosquito-borne encephalitis caused by group B arbovirus (Flavivirus) and transmitted by culicine mosquitoes. Zoonotic disease. Transmission occurs principally in rural agricultural location where flooding irrigation is practiced. Ref: Park's textbook of preventive and social medicine 23rd edition